In amyloidosis beta pleated sheet will be seen in
1. X Ray crystallography
2. Electron microscope
3. SPiral electron microscope
4. Congo red stain

Correct answer: 1. X Ray crystallography

Explanation: Ref Robbins 9/e p257 Beta pleated structure is seen on x Ray crystallography Election microscope shows non branching fibrils of indefinite length